Blow out carotid is characteristically seen in
1. Sistrunk operation
2. Thyroidectomy
3. Parathyroidectomy
4. Radical neck dissection

Correct answer: 4. Radical neck dissection

Explanation: History of radiation exposure followed by radical neck dissection increases the risk of carotid blowout in head and neck cancers. * Carotid blowout refers to rupture of the carotid and its branches* It is one of the most devastating complications associated with therapy for head and neck cancers * Carotid blowout tends to occur in head and neck cancer, radiation induced necrosis, recurrent tumors or pharynocutaneous fistulas * The clinical signs and symptoms related to rupture of carotid artery have been referred as carotid blowout syndrome* Reported morbidity and mortality rates are 40% and 60% respectively.